All are true regarding Kwashiorkar except ?
1. Fatty liver
2. Edema
3. Megaloblastic anemia not responding to folic acid
4. Bitot's spot

Correct answer: 3. Megaloblastic anemia not responding to folic acid

Explanation: Ans. is 'c' i.e., Megaloblastic anemia not responding to folic acid o Megaloblastic anemia due to folic acid deficiency responds well to folic acid supplementation. Associated nutritional deficiencies in in PEM Iron deficiency --> Anemia (Microcytic hypochromic) Folate & Vit B 12 deficiency --> Anemia (megaloblastic). Vit A deficiency --> Xeropthalmia (Night blindness, conjuctival xerosis, Bitot's spot, corneal xerosis, keratomalacia). Vit B2 deficiency ---> Ariboflavinosis. Vit C deficiency --> Scurvy Vit D deficiency ---> Skeletal changes of rickets may not be clinically overt as no growth is occuring during malnutrition (Rickets is a disease of growing skeleton). Rickets becomes evident during Dietry therapy, when skeleton starts growing again Paradoxical rickets.